Acute Pancreatitis is associated with:
1. Elevated serum amalyse
2. Alcohol
3. Gall bladder stones
4. All of the above

Correct answer: 4. All of the above

Explanation: Ans. D: All of the above